Standard deviation is a measure of-
1. Central tendency
2. Deviation from mean
3. Standard error
4. Skewness

Correct answer: 2. Deviation from mean

Explanation: Ref: Parks 23rd edition pg 849 Standard deviation: Gives idea of the spread or dispersion Lager the standard deviation value , greater is the dispersion of values about the mean.